Which cavity should be opened first in the suspicion of hanging?
1. Thorax
2. Head
3. Abdomen
4. Neck

Correct answer: 2. Head

Explanation: * Sequence of opening of cavity is as follows: Cranium > thorax > abdomen > neck. For finding the injuries properly a bloodless field is required. Hence the neck is dissected last. In newborn, first cavity to be opened is abdomen, in order to find level diaphragm. In case of poisoning, in order to perceive smell, the cranial cavity should be opened first.